True about ulcerative colitis, all except -
1. Rectum involved
2. Pseudopolyps
3. Pancolitis
4. Noncaseating granuloma

Correct answer: 4. Noncaseating granuloma

Explanation: Noncaseating granuloma is seen in Crohn disease.